All of following statements are true regarding non-invasive prenatal screening(NIPT) test except :
1. Positive test need further confirmation
2. Evaluates fetal blood taken by cordocentesis for fetal abnormalities
3. High negative predictive value
4. Used in screening for aneuploidies

Correct answer: 2. Evaluates fetal blood taken by cordocentesis for fetal abnormalities

Explanation: Non-invasive prenatal screening tests: Used for Prenatal detection of chromosome abnormalities and reduce incidences of aneuploidies in high risk pregnancies. Pregnant woman's blood is evaluated prenatal screening. Screening test is done usually after 10 weeks of gestation. Because it has high negative predictive values,for further confirmation with invasive methods like chorionic villus sampling, amniocentesis .